All of the following are used in Gram's staining except?
1. Iodine
2. Alcohol
3. Congo red
4. Crystal violet

Correct answer: 3. Congo red

Explanation: GRAM STAINING 1)Primary staining with a pararosaniline dye such as crystal violet, methyl violet, or gentian violet 2)Application of a dilute solution of iodine 3)Decolourisation with an inorganic solvent such as ethanol, acetone, or aniline 4)Counterstaining with a dye of contrasting color such as carbon fuchsin, safranine or neutral red Congo Red: It is an organic dye, an azo dye mainly used in the diagnosis of amyloidosis REF:Ananthanarayan & Panicker's Textbook of Microbiology 9th Edition pg no: 13